Which of the following is NOT true about paramedian pits?
1. Found on the lower lip
2. Found on the upper lip
3. On either side of the midline
4. Associated with cleft Lip and palate

Correct answer: 2. Found on the upper lip